Reaction occuring in conversion of norepinephrine to epinephrine?
1. Hydroxylation
2. Oxidation
3. Glucuronidation
4. Methylation

Correct answer: 4. Methylation

Explanation: Ans. D. Methylation